A 30-year-old woman reports to the clinic for a routine physical examination. The examination reveals she is pregnant. Her plasma levels of TSH are high, but her total thyroid hormone concentration is normal. Which of the following best reflects the patient's clinical state?
1. Graves' disease
2. Hashimoto's disease
3. A pituitary tumor secreting TSH
4. A hypothalamic tumor secreting thyrotropin-releasing hormone (TRH)

Correct answer: 2. Hashimoto's disease

Explanation: As a result of negative feedback, plasma levels of TSH are a sensitive index of circulating levels of unbound (free) thyroid hormones. High plasma levels of TSH indicate inappropriately low levels of free thyroid hormones in the circulation, such as are present with autoimmune destruction of the thyroid gland in persons with Hashimoto's disease. However, because elevated plasma levels of estrogen in pregnancy increase hepatic production of TBG, Plasma levels of thyroid hormones are elevated in persons with Graves' disease and in patients with a pituitary TSH-secreting tumor, as well in patients given thyroid extract for therapy